Scabies in adults differs from that in children by –
1. Not involving face
2. Non involving genitals
3. Not involves areola
4. Involves whole body

Correct answer: 1. Not involving face

Explanation: Scalp, face, palm and soles are characteristically spared in adult, whereas these areas are involved in infants and young children.